Uterosacral ligament contains
1. Mainly plain muscle
2. Sympathetic and parasympathetic nerves
3. Contain uterine vessels
4. Ureters

Correct answer: 2. Sympathetic and parasympathetic nerves

Explanation: Uterosacral ligaments are composed almost entirely of connective tissue and very little plain muscle. They contain sympathetic and parasympathetic nerves.